Minimal pleural effusion is best detected by X–ray...view –
1. A.P.
2. P.A
3. Lateral
4. Oblique

Correct answer: 3. Lateral

Explanation: Lateral decubitus view is the best view to detect minimal pleural effusion.